Which of following techniques is used for detection of variation in DNA sequence and Gene expression?
1. Northern blot
2. Southern blot
3. Western blot
4. Microarray

Correct answer: 4. Microarray

Explanation: Ans. D. Microarray(Ref: Robbins 9/e page177,178)DNA microarray can be used to detect DNA sequence variationsRNA Microarray can detect Gene expression.